Infrahyoid muscles are supplied by:
1. Vagus nerve
2. Cervical plexus
3. Brachial plexus
4. Supraclavicular nerve

Correct answer: 2. Cervical plexus

Explanation: The infrahyoid muscle (strap muscle) are a group of four pairs of muscles in the anterior part of the neck.
The four infrahyoid muscles are - sternohyoid, sternothyroid, thyrohyoid and omohyoid.
Infrahyoid muscles either originate from or insert onto the hyoid bone.
Its function is to depress the hyoid bone and larynx during swallowing and speech.